Zenker diverticulum occurs at:
1. Upper esophageal spinchter
2. Lower esophageal sphincter
3. Both of the above
4. None of the above

Correct answer: 1. Upper esophageal spinchter

Explanation: Diverticula of the esophagus are mainly located above the LES (epiphrenic diverticulum) or the UES (pharyngoesophageal--or Zenker--diverticulum). They are both caused by abnormalities involving the LES or the UES, which result in protrusion of the mucosa and submucosa through the muscular layers